The most common cause of Addison's disease is
1. Autoimmune adrenalitis
2. Meningococcal septicemia
3. Malignancy
4. Tuberculosis

Correct answer: 1. Autoimmune adrenalitis

Explanation: Ans. is 'a' i.e., Autoimmune adrenalitis o Most common cause (60%-70%) of primary adrenocorticol insufficiency (Addison'discases) is autoimmune adrenelitis. o Other common cause are. Tuberculosis -*Most common cause of Addison's disease in India . AIDS Metastatic cancers